All of the following are conditions associated with negative nitrogen balance, EXCEPT:
1. Burns
2. Convalescence
3. Infection
4. Malnutrition

Correct answer: 2. Convalescence

Explanation: Healthy adults will be at a state of nitrogen equilibrium, i.e. nitrogen intake = Nitrogen excreted. A high protein intake does not lead to positive nitrogen balance since high-protein intake also leads to protein degradation. Large intake of proteins is not advised since protein synthesis and protein degradation are energy-expensive processes. Positive Nitrogen Balance Negative nitrogen balance Intake is more than loss (Nitrogenintake > nitrogen excreted) Childhood growth Pregnancy Lactation Recovery after illness (Convalescence) Anabolic steroid intake Loss is more than the intake (Nitrogen excreted > Nitrogen intake) Infection Surgery Burns Trauma Malnutrition Hyperthyroidism, Cushing syndrome